False about signal recognition particle ?
1. SRP R is a docking protein
2. SRP-SRP R are GTP bound
3. Binding of signal sequence to SRP resumes translation
4. Sec 61 complex is a 3 membrane protein conducting channel

Correct answer: 3. Binding of signal sequence to SRP resumes translation

Explanation: Binding of a signal sequence to SRP temporarily blocks the translation SIGNAL RECOGNITION: Signal recognition sequence originates from ribosomes & bind to SRP. This causes temporary arrest in elongation of translation. SRP guides the protein to SRP-R. SRP-ribosome -nascent protein binds to SRP-R then SRP guides the protein to SRP-R. The SRP is released from SRP-R. The ribosome binds to sec 61 complex ( translocon ), then the signal peptide gets inserted into the channel in translocon and translation resumes. Interaction of SRP - SRP-R occurs GTP hydrolysis Reference: Harper; 30th edition